A Female health worker has to teach women in Urban slum about ORS preparation. Best method will be
1. Lecture
2. Flipcha
3. Demonstration
4. Workshop

Correct answer: 3. Demonstration

Explanation: Demonstration -Is a carefully planned presentation where idea is to show ' how to perform' a skill/procedure Two principles : 1. Seeing is believing 2. learning by doing